The drug of choice for the treatment of chlamydial infection is -
1. Ampicillin
2. Third generation cephalosporins
3. Metronidazole
4. Doxycycline

Correct answer: 4. Doxycycline